Which among the following is not an autoimmune disease?
1. Myasthenia gravis
2. Systemic lupus erythematosus
3. Graves disease
4. Sickle cell disease

Correct answer: 4. Sickle cell disease

Explanation: Ans. (d) Sickle cell diseaseRef: Robbin's pathology 9th ed. /211-15, 635* Sickle cell disease is a genetic condition which is characterized by mutation in beta globin chain of hemoglobin (glutamic acid is replaced with valine in the 6th position of beta chain).* Other given choices like SLE, Graves and MG are all autoimmune conditions.